All of the following conditions are a differential diagnosis for Koebner Phenomenon, EXCEPT:
1. Lichen planus
2. Vitiligo
3. Pyoderma gangrenosum
4. Leukocytoclastic vasculitis

Correct answer: 3. Pyoderma gangrenosum

Explanation: Heinrich Koebner in the late nineteenth century, first described the Koebner phenomenon in patients with Psoiriasis. It refers to the development of skin lesions after minor traumatic insult. Koebnerization involves the development of lesions characteristic to an underlying disorder. Koebner phenomenon occurs in 25% of patients with psoriasis, often resulting from mild trauma such as a sunburn or scratch. Lichen planus, vitiligo, and leukocytoclastic vasculitis also demonstrate the Koebner phenomenon. Note: The lesions that appear after a trauma in Pyoderma gangrenosum are Pathergy, not Koebner. Ref: Tan J.K., Vleugels R.A. (2012). Chapter 147. Dermatologic Findings in Systemic Disease. In S.C. McKean, J.J. Ross, D.D. Dressler, D.J. Brotman, J.S. Ginsberg (Eds), Principles and Practice of Hospital Medicine.